In fracture of femur popliteal artery is commonly damaged by -
1. Proximal fragment
2. Distal fragment
3. Muscle haematoma
4. Tissue swelling

Correct answer: 2. Distal fragment

Explanation: In distal third shaft fracture or supracondylar femur fracture, the distal fragment is tilted backwards due to strong gastrocnemius pull.
This posteriorly tilted distal fragment can cause popliteal artery injury.